Role of sodium fluoride as a preservative for blood in viscera packing are all except
1. It prevents glycolysis
2. Acts as anti-coagulant
3. Inhibits bacterial growth
4. Inhibits enolase enzyme

Correct answer: 2. Acts as anti-coagulant

Explanation: Potassium oxalate - anti coagulant and 10 mg / ml Sodium or Potassium fluoride are used for blood preservation. Acts as preservative by following mechanism: - Prevents glycolysis - Inhibits bacterial growth - Inhibits enolase enzyme